Vascular origin neoplasm in patients of AIDS is caused by which of following Organism?
1. CMV
2. HHV-8
3. H1N1
4. HPV

Correct answer: 2. HHV-8

Explanation: Kaposi's sarcoma is a multicentric neoplasm consisting of multiple vascular nodules appearing in the skin, mucous membranes, and viscera in a patient with AIDS It is caused by HHV-8 ( Human herpes virus -8) aka Kaposi's sarcoma-associated herpesvirus (KSHV)